The nerve root blocked in pudendal nerve block
1. L2-3
2. L2-4
3. S2-4
4. L5, S1

Correct answer: 3. S2-4

Explanation: Pudendal nerve block, blocks sacral segments (S2-4) thus provides perineal analgesia. The anesthesia is produced by blocking the pudendal nerves near the ischial spine of the pelvis. The pudendal block gets its name because a local anesthetic, such as lidocaine or chloroprocaine, is injected into the pudendal canal where the pudendal nerve is located. Ref Robbins 9/e pg 345